All the following take part in the formation of the wrist joint, except
1. Scaphoid
2. Triquetrum
3. Distal end of radius
4. Distal end of ulna

Correct answer: 4. Distal end of ulna

Explanation: The radioulnar joint (wrist joint) is a synovial,biaxial and ellipsoid joint formed by the articulation of Distal end of radius Articular disc of the triangular fibrocartilage Scaphoid,lunate and triquetrum Ref: Gray's Anatomy The Anatomical Basics of Clinical Practice 41 e pg 872.